All are true about chromobacteritun violaceum except?
1. Gram negative
2. Produces violet-colored pigment
3. Normal flora in human
4. Causes cellulitis

Correct answer: 3. Normal flora in human

Explanation: Ans. c. Normal flora in human